Therapeutic exposure is a form of
1. Behaviour therapy
2. Psychoanalysis
3. Cognitive therapy
4. Supportive therapy

Correct answer: 1. Behaviour therapy

Explanation: Main line of management for phobias is psychological management The main management is exposure which can be done in several ways which is explained below SYSTEMATIC DESENSITIZATION JOSEPH WOLPE Joseph Wolpe gave the concept of systematic desensitization This is a treatment used in phobia In phobia there is a conditioned fear response to aversive neutral stimulus and avoidance of that response leads to phobia Whenever there is a fear response there is stimulation of sympathetic system In that case stimulation of parasympathetic system by relaxation there is reduction in anxiety First step is to make a step ladder which are arranged based on the severity Then is go step by step and along with doing applied relaxation Slowly the the sympathetic system is reduced The patient will be able to approach stimulus without anxiety Ref.Kaplon and sadock, synopsis of psychiatry, 11 th edition, pg no. 398